All the following are fishes used in biological control of vectors except
1. Gambusia
2. Poccilla
3. Aplochelius
4. Coelomomyces

Correct answer: 4. Coelomomyces

Explanation: Example of larvivorous fish (those that feed on immature stages of mosquitoes) are Gambusia, Poecilia, Aplochelius Ref : Park 23rd edition Pgno : 773